Neisseria is morphologically -
1. Grame negative bacilli
2. Gram positive bacilli
3. Gram negative cocci
4. Gram positive cocci

Correct answer: 3. Gram negative cocci

Explanation: Ans. is 'c' i.e., Gram negative cocci Bacteria|||Gram positiveGram negative||||||CocciBacialliCocciBacilli or coccobacilli* Staphylococci* Streptococci* Enterococci* Corynebacterium* Bacillus* Clostridia* Listeria* Neisseria* Moraxella* Veillonella* All other medically important bacteria